In tissue, Coccidioides immitis produces ?
1. Spherules and endospores
2. Encapsulated yeast cells
3. Fine, delicate hyphae
4. Coarse, septate hyphae

Correct answer: 1. Spherules and endospores

Explanation: Ans. is 'a' i.e., Spherules and endospores Coccidioides immitis . It is a dimorphic fungus with septate hyphae. . Has two forms. White fluffy mould on most culture media Nonbudding spherical form-a spherule, in host tissue. . C. immitis reproduces in host tissue by forming small endospores within mature spherules. . Fungus is identified by its appearance by the formation of thick-walled barrel shaped spores, called arthrospores. . Infection is acquired by dust containing arthrospores. . Clinical manifestations - Most of the infections are asymptomatic Asymptomatic pulmonary nodule. - Many persons develop a self limited influenza like fever --> Valley fever or desert rheumatism. - Acute pneumonia - Chronic fibrocavitatory pneumonia - Chronic dissemination: Bone Meninges Skin Joints Subcutaneous tissue